Jumper's knee is due to -
1. Sacral fracture
2. Patellar tendonosis
3. Tibial fracture
4. Fibular fracture

Correct answer: 2. Patellar tendonosis

Explanation: Ans. is 'b' i.e., Patellar tendonosis * Jumper's knee - Patellar tendonosis or bursitis* Jumper's fractures of the sacrum are characterized by an H - or U - shaped fracture line in the upper sacrum, usually involving the Sj-S2 region.